MC retained foreign body intraocularly
1. Airgun pellets
2. Iron
3. Glass
4. Chisel and hammer

Correct answer: 2. Iron

Explanation: B i.e. Iron The foreign bodies most likely to penetrate and be retained in the eye are minute chips of iron or steel (accounting for 90% all foreign bodies in industry)Q In chipping stone with an iron chisel, it is commonly a chip of the chisel and not of the stone() which enters the eye